The typical deformity in CTEV is ?
1. Ankle equinus
2. Subtalar inversion
3. Forefoot adduction
4. All the above

Correct answer: 4. All the above

Explanation: Ans. is 'd' i.e., All the above CTEV is the commonest and most important congenital deformity of the foot. CTEV is more common males in than in females (males to female ratio 2.5 : 1). In half of the cases CTEV is bilateral. Right and left foot are affected equally. The deformity consists of following elements :? i) Equinus, i.e. Plantar flexion at ankle joint (tibiotalar joint). ii) Inversion of foot at subtalar joint (talocalcaneal joint). iii) Forefoot adduction, at mid-tarsal joints, especially at talo-navicular joint. iv) Sometimes forefoot cavus, i.e. excessive arching of the foot at mid-tarsal joints.